62-year-old woman has postmenopausal bleeding after 13 years of menopause. She has hypertension and type 2 diabetes mellitus. An endometrial biopsy is performed that shows grade I endometrial adenocarcinoma. Which of the following is the most appropriate next step in management?
1. Chemotherapy
2. Cone biopsy
3. A Dilatation and Curretage
4. Hysterectomy

Correct answer: 4. Hysterectomy

Explanation: The patient has been diagnosed endometrial adenocarcinoma on biopsy The next step is to perform a staging laparotomy which involves the following Total abdominal hysterctomy + bilateral salpingo-oophorectomy Peritoneal cytology Omentectomy + appendicectomy + peritoneal biopsy: for non endometroid cancer Selective pelvic and para aortic lymphadenectomy